Sulphonylureas act by:
1. Reducing the absorption of carbohydrate from the gut
2. Stimulating the beta islet cells of pancreas to release  insulin
3. Increasing the uptake of glucose in peripheral tissue
4. Reducing the hepatic gluconeogenesis

Correct answer: 2. Stimulating the beta islet cells of pancreas to release  insulin